Which of the following are of viral origin -a) Laryngeal papillomab) Nasopharyngeal carcinomac) Vocal noduled) Laryngeal web
1. ac
2. a
3. ab
4. bc

Correct answer: 3. ab